Intraoperative Radiotherapy is used in
1. Pancreatic Carcinoma
2. Gastric Carcinoma
3. Colorectal Carcinoma
4. All the above

Correct answer: 4. All the above

Explanation: Intra-op radiotherapy

Pancreatic, gastric, Colorectal carcinoma.
Head and neck cancers, Genitourinary cancers.
Retroperitoneal sarcomas.